Call exner bodies are seen in -
1. Dysgerminoma
2. Granulosa cell tumor
3. Thecoma
4. Arrhenoblastoma

Correct answer: 2. Granulosa cell tumor

Explanation: Ans. is 'b' i.e., Granulosa cell tumorFeatureo Call-Exner bodieso Reinke crystalloidso Psammoma bodieso Pseudomyxoma peritoneio Signet ring cellso Rokitansky's protuberanceOvarian tumorGranulosa-theca cell tumorHilus cell tumors (pure leydig cell tumor) Serous cystadenomaMucinous cystadenomaMetastatic krukenberg's tumorsMature (benign) teratoma (Dermoid cyst)